Phenytoin toxicity-
1. Gum hypertrophy
2. Acne rosacea
3. Exacerbation of acne vulgaris
4. Loss of hair

Correct answer: 1. Gum hypertrophy

Explanation: Ans. is 'a' i.e., Gum hypertrophy